Spouse jealousy is a feature of ?
1. Othello syndrome
2. Chronic alcoholism
3. Stockholm syndrome
4. Clerambault's syndrome

Correct answer: 1. Othello syndrome

Explanation: Ans. A. Othello syndromeOthello Syndrome:When the content of delusions is predominantly jealousy (infidelity) involving the spouse, person feels an unreasonable fear that a partner has been unfaithful, is presently unfaithful, or plans to be unfaithful, it is called as Othello Syndrome or conjugal paranoia.Elaborate steps are taken to prevent the spouse to go outside (Locks the spouse, not allowing her to go outside).